Othello syndrome is:
1. Delusions of reference
2. Delusions of grandeur
3. Delusions of doubles
4. Delusion of infedility

Correct answer: 4. Delusion of infedility

Explanation: Delusion of infedility